An addict develops delusion, misleading hallucination of sight and hearing and the feeling of creeping things of "grains of sand" in the skin, he is addicted to :
1. Heroin
2. Methadone
3. Cocaine
4. Amphetamines

Correct answer: 3. Cocaine

Explanation: C i.e. Cocaine